A 23 year old man was found roaming aimlessly near New Delhi Railway Station. When the police enquired about his whereabouts he appeared confused and was not able to tell details about his name and address. He was not able to give any information about how he reached the railway station and could not recall anything about his past. His belongings included an AADHAR CARD, where the address was of srinagar, jammu & kashmir. When his family was contacted, they reported that his father had died yesterday and since than he went missing. What is the likely diagnosis?
1. Dissociative fugue
2. Dissociative identity disorder
3. Post traumatic stress disorder
4. Depersonlaization/derealization

Correct answer: 1. Dissociative fugue

Explanation: History of a travel, with inability to recall details of travel and inability to recall important personal information is suggestive of dissociative fugue. The presence of a stressor , further aids in the diagnosis. Kindly remember that in DSM-5, dissociative fugue has been subsumed under the diagnosis of dissociative amnesia.